When making complete denture the occlusal plane should be parallel to the
1. Frankfort horizontal plane only
2. Interpupillary Line only
3. Campers plane only
4. Campers plane and interpupillary line

Correct answer: 4. Campers plane and interpupillary line